A 25-year old housewife came to the Psychiatry out patient department (OPD) complaining that her nose was longer than usual. She felt that her husband did not like her because of the deformity and had developed relation-ship with the neighbouring girl. Further she complained that people made fun of her. It was not possible to convince her that there was no deformity. Her symptoms include
1. Delusion
2. Depersonalization
3. Depression
4. Hallucination

Correct answer: 1. Delusion

Explanation: A i.e. Delusion- This lady is suffering from delusional dysmorphophobia a kind of delusional disorder in which patient feels her/his part of body or whole body ugly or mishappen.And the personality is affected only in delusional area.- Hallucination is perception in absence of external stimuliDepersonalization disorder is characterized by persistent or recurrent alteration in the perception of the self to the extent that a person's sense of his/her own reality is temporarily lost. Patient may feel that they are mechanical, in a dream or detached from their bodies. The episodes are egodystonic & the patient realizes the unreality of the symptoms.- Depersonalization is the feeling that the body or the person self is strange & unreal.Derealization is the perception of objects in the external world as strange & unreal.